Most common uterine tumor is:-
1. Leiomyoma
2. Endometrial cancer
3. Adenomyoma
4. Leiomayosarcoma

Correct answer: 1. Leiomyoma

Explanation: most common uterine tumor is leiomyoma Leiomyomas of the uterus (or uterine fibroids) are benign tumors that arise from the overgrowth of smooth muscle and connective tissue in the uterus. Histologically, a monoclonal proliferation of smooth muscle cells occurs. A genetic predisposition to leiomyoma growth exists